Which of the following is bactericidal drug used for leprosy?
1. Ciprofloxacin
2. Ofloxacin
3. Erythromycin
4. Gentamicin

Correct answer: 2. Ofloxacin

Explanation: Fluoroquinolones are cidal, ofloxacin is a part of ROM(rifampici+ofloxacin+minocycline) regimen used in leprosyRef: H L Sharma and KK Sharma 3rd ed pg: 779